Arrange the Electrophoretic pattern of serum lipoproteins in sequence starting from point of origin: A. Alpha lipoprotein B. Pre-beta lipoprotein C. Chylomicron D. Beta lipoprotein
1. C - D-B - A
2. B - D-A - C
3. D - A-B - C
4. B - A-C - D

Correct answer: 1. C - D-B - A

Explanation: Electrophoretic pattern of serum lipoproteins in sequence starting from point of origin Chylomicron-beta lipoprotein-Pre-beta lipoprotein-alpha lipoprotein